The symptom that doesn't improve with TURP is
1. Nocturia
2. Post micturition dribble
3. Incomplete emptying
4. Urge incontinence

Correct answer: 2. Post micturition dribble

Explanation: Post-micturition dribble will not improve with TURP. It can be related to weak sphincter or other causes which may not improve with TURPBailey and Love 27e pg: 1459